Frequency of tuning fork commonly used for performing Rinne's test is:
1. 256 Hz
2. 512 Hz
3. 1024 Hz
4. 2048 Hz

Correct answer: 2. 512 Hz

Explanation: Tuning fork tests are performed with tuning forks of different frequencies such as 128, 256, 512, 1024, 2048 & 4096 Hz, but for routine clinical practice, tuning fork of 512 Hz is ideal.